Criteria for Ovarian Pregnancy Diagnosis are all of the following except-
1. The fallopian tube on the affected side must be intact
2. Ovarian tissue must be located in the sac wall
3. The ovary must be connected to the uterus by the ovarian ligament
4. The fetal sac must occupy the position lateral to the ovary

Correct answer: 4. The fetal sac must occupy the position lateral to the ovary

Explanation: Criteria for Ovarian Pregnancy Diagnosis- Speigelberg's Criteria The fallopian tube on the affected side must be intact. The fetal sac must occupy the position of the ovary. The ovary must be connected to the uterus by the ovarian ligament. Ovarian tissue must be located in the sac wall.